A standard normal distribution has
1. A mean of 1 and a standard deviation of 1
2. A mean of 0 and a standard deviation of 1
3. A mean larger than its standard deviation
4. All scores within one standard deviation of the mean

Correct answer: 2. A mean of 0 and a standard deviation of 1

Explanation: (B) A mean of 0 and a standard deviation of 1# STANDARD NORMAL DISTRIBUTION is defined as a normal distribution with a mean of 0 & a standard deviation of 1.> Normal (or Gaussian) distribution is a very commonly occurring continuous probability distribution--a function that tells the probability that any real observation will fall between any two real limits or real numbers, as the curve approaches zero on either side.> The figure below shows 99.7% of population fall within 2 SD.